GH secretion is
1. Greater in early morning
2. Greater in evening
3. Increases on preolonged fasting
4. Stimulates B-cells of pancreases directly

Correct answer: 3. Increases on preolonged fasting

Explanation: Peptide hormones. ... Sex hormones. ... Clonidine and L-DOPA by stimulating GHRH release. a4b2 nicotinic agonists, including nicotine, which also act synergistically with clonidine. Hypoglycemia, arginine and propranolol by inhibiting somatostatin release. Deep sleep. Insulin. Ref: guyton and hall textbook of medical physiology 12 edition page number: 550,551,552